Excitatory neurotransmitter of brain is?
1. GABA
2. Aspartate
3. Glutamate
4. Glycine

Correct answer: 3. Glutamate

Explanation: Ans. C Glutamate* The most prevalent transmitter is glutamate, which is excitatory at well over 90% of the synapses in the human brain.* The next most prevalent is Gamma-Aminobutyric Acid, or GABA, which is inhibitory at synapses in the human brain.